Which of the following is a branch of 3rd part of subclavian artery?
1. Thyrocervical trunk
2. Dorsal scapular artery
3. Vertebral artery
4. Internal thoracic artery

Correct answer: 2. Dorsal scapular artery

Explanation: Ans. B Dorsal scapular arteryRef: Netter's Clinical Anatomy, 3rd ed. pg. 504* Dorsal scapular artery is a branch of 3rd part of subclavian artery.